Distal nail matrix forms
1. Ventral Portion of nail plate
2. Dorsal portion of nail plate
3. Both of the above
4. None of the above

Correct answer: 1. Ventral Portion of nail plate

Explanation: Ref:- Review of Dermatology by Alikhan; pg num:-11